Variceal bleeding is best treated with
1. Vasopressin
2. Nitroglycerine
3. Octreotide
4. Desmopressin

Correct answer: 3. Octreotide

Explanation: Bleeding esophageal varices Octreotide is often given as an infusion for management of acute hemorrhage from esophageal varices in liver cirrhosis on the basis that it reduces portal venous pressure, though current evidence suggests that this effect is transient and does not improve survival Ref Davidson edition23rd pg 781